Cells present in Cerebellar cortex are all except.
1. Purkinje
2. Bipolar
3. Granule
4. Golgi

Correct answer: 2. Bipolar

Explanation: B i.e. Bipolar